All are examples of hereditary neuropathies associated with abnormal lipid metabolism, EXCEPT:
1. Metachromatic leukodystrophy
2. Refsum disease
3. Cockayne syndrome
4. Fabry disease

Correct answer: 3. Cockayne syndrome

Explanation: Rare Hereditary Neuropathies A) Hereditary Disorders of Lipid Metabolism 1. Metachromatic leukodystrophy 2. Krabbe disease (globoid cell leukodystrophy) 3. Fabry disease 4. Adrenoleukodystrophy/adrenomyeloneuropathy 5. Refsum disease 6. Tangier disease 7. Cerebrotendinous xanthomatosis B) Hereditary Ataxias With Neuropathy 1. Friedreich ataxia 2. Vitamin E deficiency 3. Spinocerebellar ataxia 4. Abetalipoproteinemia (Bassen-Kornzweig disease) ALSO KNOW: Cockayne syndrome and Ataxia-telangiectasia are disorders of DNA repair associated with peripheral neuropathy. Ref: Harrison, Edition-18, Page-3456